Which of the following is first launched programme associated with rural drinking water supply?
1. Accelerated Rural Water Supply programme
2. Rajiv Gandhi National Drinking Water mission
3. Swajaldhara
4. Technology Mission

Correct answer: 1. Accelerated Rural Water Supply programme

Explanation: Accelerated Rural Water Supply programme was launched in 1972-73. Rajiv Gandhi National Drinking water mission was started in1991-92. It was later scaled up to Swajaldhara in 2002. Ref: Health policies and programmes in India, D.K. Taneja 11th edition page: 397